Least successful approach of behaviour management is:
1. Coping
2. Comparison
3. Tell Show and Do
4. None

Correct answer: 2. Comparison

Explanation: Least successful approach of behaviour management is comparing the child with others.